True about malignant hyperthermia -
1. It is genetic, hypometabolic muscle disease
2. It is genetic, hypermetabolic muscle disease
3. It is preoperative complication
4. It is inherited in Autosomal recessive form

Correct answer: 2. It is genetic, hypermetabolic muscle disease

Explanation: Malignant hyperthermia (MH) is a rare genetic hyper metabolic muscle disease. The characteristic phenotypical signs & symptoms most commonly occur with exposure to inhaled anesthetic agents and Succinylcholine. Clinical Manifestations of Malignant Hyperthermia: Early Signs: Elevated end-tidal carbon dioxide Tachypnea and/or tachycardia Masseter spasm, if succinylcholine has been used Generalized muscle rigidity Mixed metabolic and respiratory acidosis Profuse sweating Mottling of skin Cardiac arrhythmias Unstable blood pressure Late Signs Hyperkalemia Rapid increase of core body temperature- body temperature rises by 10C every 5 minutes Elevated creatine phosphokinase levels Gross myoglobinemia and myoglobinuria Cardiac arrest Disseminated intravascular coagulation